The food item associated with B.cereus emetic food-type poisoning is:
1. Meat
2. Milk products
3. Canned food
4. Fried rice

Correct answer: 4. Fried rice

Explanation: Option 1, 4 Food items associated: Diarrheal type - Meat, vegetables, dried beans, cereals. Emetic type - Rice (Chinese fried rice). 1. Bacillus cereus food poisoning is of two types. Emetic type and Diarrheal type abdominal cramps are common features in both. Other features are: a) Emetic Type: History of intake of fried rice from Chinese restaurant 6 hour earlier. Mediated by enterotoxin resembling E. coli stable toxin. On ingestion of the rice, the toxin causes nausea, vomiting, and abdominal cramps after a short incubation period of 6 hours. Diarrhea and fever are rare. b) Diarrhoeal type: History of intake of cooked meat and vegetables 8-16 hours earlier. Mediated by enterotoxin resembling E. coli.The symptoms consist of acute abdominal pain, diarrhea, and nausea; vomiting is rare Option 2, 3 Brucellosisis: Ingestion of raw milk or dairy products. Staphylococcal food poisoning: Most common food items involved are milk products, bakery food, custards, potato salad, or processed meats. BOTULISM:-Food borne botulism occurs due to preformed toxin mixed with canned food.